Soil acts as a source as well reservoir for -
1. Rabies
2. Tetanus
3. Typhoid
4. Measles

Correct answer: 2. Tetanus

Explanation: Ans. is 'b' i.e., Tetanus Source Vs Reservoir Source o The source of infection is defined as "the person, animal, object or substance from which an infectious agent passes or is disseminated to the host". In other words, Anything from which a man acquires infection is the source of infection. Reservoir o Any person, animal, arthropod, plant, soil or substance in which an infectious agent lives and multiplies & metabolizes. o Infectious agent is dependent on reservoir for survival. o It reproduces in reservoir in such manner that it can be transmitted to susceptible host. A reservoir acts as a source of infection when a person acquire infection directly from reservoir. So, a resrvoir may sometimes act as a source, i.e., source may be a part of reservoir sometime (not always). Example o Source & reservoir are same --> Tetanus spores survive in soil (reservoir) and a person acquires infection directly from soil (source). So, soil acts as reservoir as well as source. o Source & reservoir different --> In typhoid, bacillus survives and multiplies inside human cases or carriers (act as reservoir), but immediate source of infection is feces or urine of patients, or contaminated food, water or milk (act as source). o So, source may or may not be a part of reservoir. In other words reservoir may or may not act as a source. In simple words : ? o Man acquires infection from source. o Infectious agent metabolizes and replicates in reservoir